Portal hypertension following portal vein thrombosis are guided by all except
1. Increase in splenic pulp pressure
2. Increase in portal vein pressure
3. Increase in hepatic vein pressure
4. Portal vein Doppler study

Correct answer: 3. Increase in hepatic vein pressure

Explanation: Splenic pulp pressure gives a measure of the portal vein pressure, it can be measured by inserting a needle percutaneously Portal vein Doppler study is the most useful Non-invasive investigation for assessing thrombosis of the main portal vein branches Ref: Sabiston 20th edition